Repetitive stimulation increases pain sensation, the probable cause is
1. Hyper-sensitization
2. Decreased reflex time
3. Increase in threshold of pain
4. Decreased receptor area

Correct answer: 1. Hyper-sensitization

Explanation: Repetitive stimulation causes release of chemical mediators such as histamine, bradykinin, prostaglandins etc, which increase the sensitivity of nociceptors.